Actinomycetoma is caused by-
1. Actinomyces
2. Nocardias
3. Streptomyces
4. All

Correct answer: 4. All

Explanation: Ans. is 'a' i.e., Actinomyces; 'b' i.e., Nocardia; 'c' i.e., Streptomyces